RFLP, true is/are:
1. Detects mutation
2. Recognizes triuncleotide repeates
3. Detects deletion
4. All of the above

Correct answer: 4. All of the above

Explanation: A i.e. Detects Mutation B i.e., Recognizes trinucleotide repeats C i.e., Detects deletion- RFLP is a DNA sequence variation observed by cleaving the DNA into fragments by restriction endonuclease (RE) enzymeQ. These restriction fragments are separated by agarose gel electrophoresis on the basis of size and detected by southern blotQ.- RFLP results from single nucleotide polymorphism (SNPs), single base changes (mutation), deletions, insertions (copy number variations = CNVs), length polymorphism / variable number of tandem repeats (VNTR), like mini satellite repeats and microsatellite or short tandem repeats (STR). All of these result in gain /loss of a restriction site; thereby producing an extra/fewer fragments.- RE cuts both strands of double stranded (ds) DNA at specific restriction sites with palindromic (inverse repeat) arrangement; thus producing smaller, manageable fragments with short sequenes and sticky (cohesive, overlapping, staggered)/ blunt endsQ. These restriction fragments can be isolated by agarose gel /polyacrylamide - electrophoresisQ or HPLC.RFLP is used for identification of gene for genomic mapingQ, establishing linkage (thus analyzing chromosomal structure and measurement / identification of DNA fragments or molecules of different size), which by process of chromosomal walking will eventually define disease locus and isolate any gene in unknown location of large DNA.